Recommended daily dose of Iodine in a child is:-
1. 120-200 ug
2. 90-120 ug
3. 30-60 ug
4. 500 ug

Correct answer: 2. 90-120 ug

Explanation: Recommended dietary allowance of iodine: - For children <10 yrs - 40-120 mg/day For children > 10 yrs - 150 mg/day Additional 25mg & 50mg during pregnancy & lactation respectively